Hemosiderosis of liver, pigment deposited is
1. Copper
2. Iron
3. Zinc
4. Manganese

Correct answer: 2. Iron

Explanation: it is a homozygous recessive inherited disorder due to excessive absorption of iron GENERAL AND SYSTEMIC PATHOLOGY RAMDAS NAYAK PG NO.458